Separation of proteins based on size is done by:
1. Affinity chromatography depending on charge
2. SDS-Polyacrylamide gel electrophoresis
3. Ion exchange chromatography
4. High performance liquid chromatography

Correct answer: 2. SDS-Polyacrylamide gel electrophoresis

Explanation: B i.e. SDS- Polyacrylamide gel electrophoresis